Which of the following urethral anomaly is the most common -
1. Hypospadias
2. Pin hole meatus
3. Epispadias
4. Stricture urethra

Correct answer: 1. Hypospadias

Explanation: Hypospadias is a condition in which the urethral meatus opens on the underside of penis* or the perineum (i.e. ventral surface of penis) proximal to the tip of the glans penis. Hypospadias is the most common* congenital malformation of the urethra. (also know that the most common congenital malformatio of the urinary tract is Duplication of renal pelvis*) Occurs in 1:250 male births. Ref: Sabiston 20th Ed. ; Schwartz 11th Ed.